False statement regarding vitamin k is?
1. Vitamin K is a fat-soluble vitamin
2. Prolonged use of antibiotics leads to vitamin K deficiency
3. Menaquinone is the dietary source of vitamin K found in green vegetables.
4. vitamin k deficiency leads to bleeding disorders.

Correct answer: 3. Menaquinone is the dietary source of vitamin K found in green vegetables.

Explanation: Vitamin K is a fat-soluble vitamin and its deficiency leads to bleeding disorders. Prolonged use of antibiotics leads to loss of normal bowel flora that synthesizes menaquinones (vitamin K2) Reference: Harpers illustrated biochemistry 30th edition